True negative means -
1. Sensitivity
2. Specificity
3. Positive predictive value
4. Negative predictive value

Correct answer: 2. Specificity

Explanation: .true negative means specificity.it is defined as the ability of a test to identify correctly those who do not have the disease that is true negatives. ref:park's textbook,22nd edition,pg no 112